The following conditions are associated with molar pregnancy except :
1. Pregnancy induced hypertension
2. Thyrotoxicosis
3. Gestational diabetes
4. Hyperemesis gravidarum

Correct answer: 3. Gestational diabetes

Explanation: Gestational diabetes